Fallopian tube dysmotility is in?
1. Marfan's syndrome
2. Noonan's syndrome
3. Kartagener syndrome
4. Turner's syndrome

Correct answer: 3. Kartagener syndrome

Explanation: Ans. C. Kartagener syndromea. Kartagener syndrome is the inheritable disorder of dextrocardia, infertility, chronic sinusitis (with the formation of nasal polyps), and bronchiectasis.b. Patients may also present with situs inversus.c. The disorder is due to a defect that causes the cilia within the respiratory tract epithelium to become immotile (Axonemal dynein).d. Cilia of the sperm are also affected.